Vulval carcinoma treatment during early stage:-
1. Radiotherapy
2. Chemotherapy
3. Surgery
4. Chemoradiation

Correct answer: 3. Surgery

Explanation: Vulvar carcinoma squamous cell carcinoma is most common histologic type Modern treatment Early stage 1 radical local excision More Advanced (2) modified radical excision with SENTINEL NODE biopsy Advanced stage (3&4) radiation plus chemotherapy (chemo radiation) possibly followed by limited surgery